A patient comes to hospital with a history of sore throat, diarrhoea and sexual contact 2 weeks before. The best investigation to rule out HIV is
1. P24 antigen assay
2. ELISA
3. Western blot
4. Lymph node biopsy

Correct answer: 1. P24 antigen assay